Differentiation of Neisseria gonorrhoeae and Neisseria meningitides is by
1. Glucose fermentation
2. Maltose fermentation
3. V. P. reaction
4. Indol test

Correct answer: 2. Maltose fermentation

Explanation: Ans. is. b. Maltose fermentation